Visual acuity of eye is:
1. Refractive power of eye
2. Ability to discriminate two points
3. Ability to increase converging power of eye
4. limitaion of occular movements

Correct answer: 2. Ability to discriminate two points

Explanation: Measurement of the threshold of discrimination of two spatially separated targets (a function of the fovea centralis) is termed visual acuity. Refractive power of eye-= +60D(+45D by cornea +15 D by lens). Ability to increase converging power of eye ACCOMODATION limitaion of occular movements - Diplopia